Functions of female health worker includes ?
1. Visit 4 subcentreslmonth Health Assistment
2. Enlist dais of the sub-centre
3. Conduct 50% delivery
4. Chlorinalion of water Health worth male

Correct answer: 2. Enlist dais of the sub-centre

Explanation: Ans. is 'b' i.e., Enlist dais of the sub-centre o FHW meet health assistant each week (not each month). o FHW enlists dais in her area. o FIIW conducts deliveries when called for (not 50%).